In boys which is the first viable sign of puberty
1. Testicular enlargement
2. Penile growth
3. Breast hypertrophy
4. Dark scrotum

Correct answer: 1. Testicular enlargement

Explanation: In boys, pubertal changes occur in the order: Testicular enlargement Pubarche Lengthening of penis Spermarche Laryngeal growth under androgenic stimulus. Ref: Ghai, 9th edition, Page 61.